A hypertensive patient was started on some anti-hypertensive drug but he developed dry cough. Which of the following drug can be responsible for this effect?
1. Calcium channel blockers
2. Beta blockers
3. ACE inhibitors
4. Diuretics

Correct answer: 3. ACE inhibitors

Explanation: ACE inhibitors blocks conversion of Angiotensin I- ACE Angiotensin II ACE inhibitors --> increase bradykinin action --> Cough & Angioedema Adverse effects of ACE inhibitors: C - Cough A - Angioedema P - Prodrugs, except captopril & lisinopril (active) T - Taste alteration O - Orthostatic hypotension P - Pregnancy R - Renal artery stenosis - b/l I - Increase k+ L - Lowers risk of Diabetic Nephropathy.